The 23 valent pneumococci vaccine is recommended in all except
1. CSF leak
2. Chronic cardiac disease
3. Children less than 2 years
4. Nephrotic syndrome

Correct answer: 3. Children less than 2 years

Explanation: Pneumococcal vaccine: - a polyvalent polysaccharide vaccine representing the capsular antigens of the 23 most prevalent serotypes have been stated to give 80-90% protection. Given in patients with enhanced risk of pneumococcal infection: absent or dysfunctional spleen, sickle cell disease, immunodeficiency etc. Not recommended for children under the age of two years and those with lymphoreticular malignancies and immunosuppressive therapy. A 7-valent conjugate vaccine is now available which can be used in children for two months to two years of age. Reference: Textbook of Microbiology; Anathanarayan and panicker's; 10th edition; Page no: 228